Which of the following is the "Least common" complication of measles -
1. Diarrhoea
2. Pneumonia
3. Otitis media
4. SSPE

Correct answer: 4. SSPE

Explanation: Ans. is 'd' i.e., SSPE o Subacute sclerosing panencephalitis (SSPE) is a rare complication of measles, which develops many years after the initial infection - PSM